Which of the following condition may give rise to sunflower cataract?
1. Diabetes mellitus
2. Injuries
3. Chalcosis
4. Infections

Correct answer: 3. Chalcosis

Explanation: Chalcosis refers to the specific changes produced by the alloy of copper in the eye. Copper ions from the alloy are dissociated electrolytically and deposited under the membranous structures of the eye. Clinical manifestations: Kayser-Fleischer ring: It is a golden brown ring which occurs due to deposition of copper under peripheral parts of the Descemet's membrane of the cornea. Sunflower cataract: It is produced by deposition of copper under the posterior capsule of the lens. It is brilliant golden green in colour and arranged like the petals of a sunflower. In retina, it may show deposition of golden plaques at the posterior pole which reflect the light with a metallic sheen. Ref: Ophthalmology by A K Khurana, 4th Edition, Page 410